Definitive laboratory diagnosis of acute pancreatitis is done by:
1. Serum Amylase
2. Serum Lipase
3. Hyperglycemia
4. Hypercalcemia

Correct answer: 2. Serum Lipase

Explanation: Answer is B (Serum Lipase) Serum lipase elevation is the most specific laboratory test for establishing a diagnosis of Acute Pancreatitis `A three fold elevated serum lipase value is usually diagnostic of acute pancreatitis' - Harrison Serum Lipase levels and serum amylase levels are both used to establish the diagnosis of acute pancreatitis An elevated serum Lipase level is more specific for pancreatitis than- a serum amylase level because many other pathologic conditions may present with an elevated amylase level. Serum lipase is therefore the single best answer of choice.